Drug inhibiting granulocyte migration is
1. Colchicine
2. Montelukast
3. Cromoglycate
4. Felbamate

Correct answer: 1. Colchicine

Explanation: Colchicine * Colchicine, an anti gout medication exerts its pharmacological action by hindering granulocyte migration in gouty inflammation. * Colchicine is indicated in the intercritical periods for prolonged prophylaxis against acute attacks of gout. * Mechanism of Colchicine in Acute Gout is illustrated below: Ref:- Goodman & Gilman Pharmacological Basis of Therapeutics 13th Ed; Pg num:- 702-3